The torture method involving simultaneous beating of both ears with palms of hand, resulting in rupture of tympanic membrane is called?
1. Falanga
2. Waterboarding
3. Telefono
4. Dunking

Correct answer: 3. Telefono

Explanation: Falanga involves beating on sole of feet. In dunking the victim is immersed in water. In water boarding the victim is immobilised in a supine position with head inclined downwards and water is poured on the face. Ref: Textbook of Forensic Medicine and Toxicology by V.V Pillay, 15th Edition, Page 118.